Charcot leyden crystals are derived from:
1. Eosinophils
2. Basophils
3. Neutrophils
4. Bronchial goblet cells

Correct answer: 1. Eosinophils

Explanation: Ans: aRef: Harrison, 16thed, p. 1511